Which of the following is indicated for cases with reduced inter arch space, where the pontic should give the appearance of an exaggerated occluso-gingival dimension:
1. Ovate pontic
2. Spheroidal pontic.
3. Fish-belly pontic.
4. None.

Correct answer: 2. Spheroidal pontic.

Explanation: These pontics contact the tissue only at the ridge crest
They do not have concave gingival surface